Crescent formation is seen in?
1. FSGS
2. MGN
3. RPGN
4. PSGN

Correct answer: 3. RPGN

Explanation: TypeClinical featuresPathogenesisPathologyLMEMAcute GNAcute nephrotic syndromeImmune complex disease (local or circulating)Diffuse proliferation, leucocytic infiltrationSubepithelial deposits (humps)RPGNAcute renal failure(i) Type I: anti GBM type(ii) Type II: Immune complex type(iii) Type III: Pauci-immune RPGNProliferationCrescentsQ(i) Linear deposits along GBM(ii) Subepithelial deposits(iii) No depositsMinimal change diseaseNephrotic syndrome (higher selective proteinuria)Reduction of normal negative charge on GBM Cell-mediated mechanismNormal glomeruli, lipid vacuolation in tubulesLoss of foot processes, no depositsMembranous GNNephrotic syndromeImmune complex disease (local)Diffuse thickening of capillary wallSubepithelial deposits (Spikes)Membrano- Proliferative GNNephrotic syndromeType I: immune complex diseaseType II: Dense deposit disease (alternate pathway activation)Type III: Rare, with systemic disease and drugsLobular proliferation of mesangial cells increased mesangial matrix, double contour of GBMType I: subendothelial depositsType II: Dense intramembranous depositsType III: Subendothelial and subepithelial deposits